Which of the following has fibromuscular stroma?
1. Testis
2. Liver
3. Prostate
4. Urinary bladder

Correct answer: 3. Prostate

Explanation: ANSWER: (C) ProstateREF: style="font-size: 1.04761904761905em; font-family: Times New Roman, Times, serif">, Gray's anatomy, 39th edition, p. 1302Repeat Post Diploma 2012, December 2011, December 2010 Repeat (***)The anterior part of the prostate is composed mainly of fibromuscular stroma, which is continuous with detrusor fibers. Toward the apex of the gland, this fibromuscular tissue blends with striated muscle from the levator. Puboprostatic ligaments also blend with this area.